Which of the following is most acceptable theory explaining development of endometriosis
1. Coelomic metaplasia
2. Retrograde menstruation
3. Lymphatic spread
4. Mullerian remnants outside uterus

Correct answer: 2. Retrograde menstruation

Explanation: Sampson's Theory of Retrograde menstruation is the most favoured theory explaining endometriosis.